Double density sign in Mitral stenosis is a sign of enlargement of-
1. Right Atrium
2. Left Atrium
3. Left Auricle
4. Right Auricle

Correct answer: 2. Left Atrium

Explanation: Ans. is 'b' i.e., Left Atrium o Double Density sien in Mitral Stenosis is a sign of enfargementof Left Atrium.Double density sign is seen on frontal chest radiograph in the presence of left atrial enlargement and occurs when the right side of the left atrium pushes behind the right cardiac shadows indenting the lung and forming its own district sihhouette.If large enough it can actually reach beyond the border of the right atrium.